In fracture acetabulum of hip which of the following is late complication ?-
1. Osteoarthritis
2. Tardy sciatic nerve plasy
3. Recurrent Dislocation
4. None of the above

Correct answer: 1. Osteoarthritis

Explanation: *In the longer term, the common problem is the development of hip osteoarthritis. Other possible problems include AVN of femoral head and heterotopic ossification ( bone formation). Early complications: 1-Venous Thromboembolism. 2-Neurovascular injury: Sciatic nerve, the lateral femoral cutaneous nerve, Femoral nerve, Superior gluteal bundle and the iliofemoral vessels. 3-Intraarticular hardware . 4-Malreducton. 5-Failure of fixation. 6-Infection. Late complications: 1-Avascular necrosis: femoral or acetabular. 2-Posttraumatic Arthritis. 3-Heterotopic Ossification. 4-Nonunion. Ref: Apley's 9th/e 840,841